Passavant ridge is formed by-
1. Tensor veli palatini and superior constrictor
2. Palatopharyngeous and superior constrictor
3. Palatopharyngeous and inferior constrictor
4. Palatoglossus and superior constrictor

Correct answer: 2. Palatopharyngeous and superior constrictor

Explanation: Some of the upper fibres of the palatopharyngeus pass circularly deep to the mucous membrane of the pharynx and form a sphincter internal to the superior constrictor.
These fibres constitute Passavant's muscle which on contraction raises a ridge called the Passavant's ridge on the posterior wall of the nasopharynx.